Muscles paralysed In Erbs palsy are all except
1. Biceps brachii
2. Triceps muscle
3. Brachioradialis
4. Brachialis muscle

Correct answer: 2. Triceps muscle

Explanation: Muscles paralysed : Muscles involved in erbs palsy : mainly biceps Brachii Deltoid Brachialis Brachioradialis Partly supraspinatus, infraspinatus and supinator ref : maheswari 9thed